Cafe coronary commonly occurs when a person is:
1. Intoxicated
2. Eating fatty food
3. Eating meat
4. Eating fish

Correct answer: 1. Intoxicated

Explanation: Ans. Intoxicated